The immune complex Hypersensitivity reaction is
1. Type-1
2. Type-II
3. Type-III
4. Type-IV

Correct answer: 3. Type-III

Explanation: In immediate hypersensitivity (type I hypersensitivity), the injury is caused by TH2 cells, IgE antibodies, and mast cells and other leukocytes Mast cells release mediators that act on vessels and smooth muscle and proinflammatory cytokines that recruit inflammatory cells. In antibody-mediated disorders (type II hypersensitivity), secreted IgG and IgM antibodies injure cells by promoting their phagocytosis or lysis and injure tissues by inducing inflammation In immune complex-mediated disorders (type III hypersensitivity), IgG and IgM antibodies bind antigens usually in the circulation, and the antigen-antibody complexes deposit in tissues and induce inflammation In cell-mediated immune disorders (type IV hypersensitivity), sensitized T lymphocytes (TH1 and TH17 cells and CTLs) are the cause of the tissue injury ref robbins pathology 9th ed page 201